Increased intraocular pressure along with an enlarged and thick cornea with a large eye may suggest -
1. Congenital glaucoma
2. Angle closure glaucoma
3. Phacomorphic glaucoma
4. Phacotopic glaucoma

Correct answer: 1. Congenital glaucoma

Explanation: Ans. is 'a' i.e., Congenital Glaucoma Clinical signs of buphthalmos (congenital glaucoma)* Cornea Corneal edema, Hazy cornea with frosted glass appearance, Haab's stria, Large cornea.* Thin & blue sclera* Deep anterior chamber* Antero-posteriorly flat lens which may be subluxated backward* Iridodonesis, atrophic patch on Iris* Large eye causing axial myopia* Varriable cupping & atrophy of disc with raised IOP